Least propensity for lymphatic spread would be
1. Basal cell cancer
2. Squomous cell cancer
3. Malignant melanoma
4. Merkel cell cancer

Correct answer: 1. Basal cell cancer

Explanation: Lymphatic spread & metastasis is extremely rare in Basal cell cancer.